Type 1 lepra reaction is treated with
1. Corticosteroid
2. Minocycline
3. Dapsone
4. Rifampicin

Correct answer: 1. Corticosteroid

Explanation: Treatment of choice for type 1 as well as type 2 lepra reaction is corticosteroids. For severe reaction, prednisolone 40-60mg/day is started immediately and continued till the reaction subsides. The dose is then tapered over 2-3 months. For resistant cases of ENL drug of choice is thalidomide